All of the following are seen in massive pulmonary embolism except:
1. Inter-ventricular septum deviation
2. Fall of SBP
3. Pulmonary plethora
4. Elevated JVP

Correct answer: 3. Pulmonary plethora

Explanation: Massive Pulmonary Embolism leads to :- - congestion in the right ventricle - Elevated JVP - Leads to the inter-ventricular septal deviation (after worsening of RHF) - Reduction of SBP Pulmonary oligemia instead of pulonary plethora occurs in Massive Pulmonary Embolism